All the following are true of the active site of enzymes, except
1. Shape is not rigid
2. Are preserved even after denaturation
3. Bind the substrate with non-covalent bonds
4. Amino acids at the active site participate in catalysis

Correct answer: 2. Are preserved even after denaturation

Explanation: Active site is a 3D cleft formed by groups that come from different parts of amino acid sequence. 2 PARTS: CATALYTIC SITE and BINDING SITE Active sites are clefts 3Dimensional Site is contributed by Amino acids far apart in the enzyme Amino acids are arranged precisely-only specific substrate can bind. Serine, His, asp, glu, cys make up the active site Substrates are bound to enzymes by multiple weak attraction Ref: KD Tripathi 8th ed.